Chikungunia is transmitted by which mosquito?
1. Aedes
2. Culex
3. Anopheles
4. All of the above

Correct answer: 1. Aedes

Explanation: Answer: A. Aedes. > D. All of the above. (Ref Park's Textbook of PSM 22nd/Pg.264, 712, 716)Some arthropod born diseaseArthropod:DiseaseAnopheles MosquitosMalariaFilaria (not in India)Culex MosquitosBancroftian filarasisJapanese encephalitisWest Nile feverViral arthritisAedes MosquitosYellow fever (not in India)DengueChikungunyaRift valley feverFilaria (not in India)Mansonoides MosquitosBrugian filariasisChikungunya feverHouseflyTyphoid fever, paratyphoid fever, diarrhea, dysentery, cholera, amoebiasis, polio, conjunctivitis, trachoma, anthrax, yaws etcSand flyKala azar, oriental sore, sand fly fever, oraya(KOSO)FeverTse Tse flySleeping sicknessLouse (PERT)PediculosisEpidemic typhus, Relapsing fever, Trench fever,Rat fleaBubonic plague, endemic typhus Chiggerosis,(BECH)H. DiminutaBlack flyOnchocerciasisReduvid bug Chaga's diseaseHard tickRocky mountain spotted fever, viral encephalitis, viral fever, viral hemorrhagic fever (KFD) tularemia, tick paralysis, human babesiosisSoft tick (QR ST)Q fever, Relapsing feverTrombiculid miteScrub typhus, rickettsial poxItch miteScabiesCyclopsGuinea worm disease fish tapeworm disease